Necrotic Keratinocyts occur in
1. DLE
2. Graft versus host disease
3. Erythema multiformal
4. All

Correct answer: 4. All

Explanation: A i.e. DLE; B i.e. Graft versus host disease; C i.e. Erythema multiformal Lichenoid dermatoses (eruptions) is used to describe a flat topped, shiny, papular eruption resembling lichen planus (by clincians) or tissue reaction consisting principally of basal cell liquefaction and a band like inflammatory cell infiltrate in papillary dermis (by histopathologist). Prototype of all lichenoid eruptions is lichen planus. Histologically lichenoid eruption (showing basal cell liquefaction or necrotic keratinocytes) are dermatomyositis, DLE, drug eruptions (fixed), erythema multiforme, graft versus host diseaseQ, lichen planusQ, lichen nitidus, lichen purpuricus (aureus), lichen striatus, lichenoid keratosis, lichenoid drug eruptions, lichen planus-lupus erythematosus overlap syndrome, lichen planus, pemphigoides, keratosis lichenoides chronica (Nekam's disease), pityriasis lichenoides, poikolodermas and viral exanthems.